A nonsedating antidepressant is -
1. Fluoxetine
2. Mianserine
3. Amoxapine
4. Imipramine

Correct answer: 1. Fluoxetine

Explanation: Fluoxetine is best remembered as a prototype of serotonin reuptake inhibitor which is

devoid of anticholinergic effects
devoid of sedative effects
devoid of hypotensive effects